A 55-year-old man was admitted to the hospital with severe abdominal pain. Gastroscopy and CT scan examinations revealed a perforating ulcer in the posterior wall of the stomach. Where would peritonitis most likely develop initially?
1. Right subhepatic space
2. Hepatorenal space (of Morison)
3. Omental bursa (lesser sac)
4. Right subphrenic space

Correct answer: 3. Omental bursa (lesser sac)

Explanation: The omental bursa is located directly posterior to the stomach and therefore would be the most likely space to develop peritonitis initially. The right subhepatic space (also called the hepatorenal space, or pouch of Morison) is the area posterior to the liver and anterior to the right kidney. This space can potentially accumulate fluid and may participate in peritonitis but primarily when the patient is in the supine position. The right subphrenic space lies just inferior to the diaphragm on the right side and is not likely to accumulate fluid from a perforated stomach ulcer. Peritonitis could develop in this area only when the patient is in the supine position. Fluid from a perforated ulcer on the posterior aspect of the stomach is not likely to enter the greater sac.